All of the following are the effects of atropine in anterior uveitis, EXCEPT:
1. Rest to the ciliary muscle
2. Increase supply of antibody
3. Decreases blood flow
4. Prevents posterior synechia formation

Correct answer: 3. Decreases blood flow

Explanation: Ans:C.)Decreases Blood Flow. Mode of action of Atropine in iridocyclitis : (i) gives comfort and rest to the eye by relieving spasm of iris sphincter and ciliary muscle, (ii) prevents the formation of synechiae and may break the already formed synechiae, (iii) reduces exudation by decreasing hyperaemia and vascular permeability and(iv) increases the blood supply to anterior uvea by relieving pressure on the anterior ciliary arteries. As a result more antibodies reach the target tissues and more toxins are absorbed.